Bence Jones proteinuria is not seen in
1. Multiple myeloma
2. Chronic interstitial nephritis
3. Macroglobulinemia
4. Non-Hodgkins lymphoma

Correct answer: 2. Chronic interstitial nephritis

Explanation: Ans: b (Chronic interstitial nephritis)Ref: Henry's clinical diagnosis and management by laboratory methods, 21st ed Pg. 399Bence Jones proteinuria:1. Refers to urinary excretion of monoclonal light chains.1. It occurs due to exclusive production of one light chain, being in excess.2. Free light chain - diffuse freely to extracellular compartment - filtered through glomeruli - reabsorbed in PCT by receptor mediated endocytosis - appear in urine when the metabolising capacity of the nephron is exceeded.3. BJP - low molecular weight protein- Screening - sulphosalicylic acid test- Not detected by dip stick test- Alpha 2 mobility on electrophorectic techniques.BJP is produced in:1. Multiple myeloma2. AL amyloidosis3. Waldenstrom's macroglobulinaemia4. Chronic lymphocytic leukaemia5. Papular mucinosis.Electrophoresis and immunofixation electrophoresis methods are the best detection and quantification methods respectively.